About rickettsiae, all are true except -
1. These are transmitted by arthropod vectors
2. Eschar is not seen in RMSF
3. Weil-Felix reaction may be diagnostic
4. Cephalosporins are drugs of choice

Correct answer: 4. Cephalosporins are drugs of choice

Explanation: Ans. is 'd' i.e., Cephalosporins are drugs of choice . Tetracyclines (e.g., doxycycline are DOCs).